Commonest cause of death in peptic ulcer patients is -
1. Perforation
2. Hemorrhage
3. Pyloric stenosis
4. Maliganancy

Correct answer: 2. Hemorrhage